Which of the following nerve not present lateral to cavernous sinus?
1. 3rd nerve
2. 4th nerve
3. opthalmic nerve
4. abducens nerve

Correct answer: 4. abducens nerve

Explanation: 6th nerve is direct content of cavernous sinus